Commonly used collimating device
1. Aluminium filter
2. Lead diaphragm
3. Molybdenum cup
4. Tungsten filament

Correct answer: 2. Lead diaphragm

Explanation: The collimating device often used is a lead diaphragm with a circular aperture for circular PIDs or a rectangular aperture for rectangular PIDs and the lead-lined PID. 
Frommer’s Radiology for Dental Professional, pg-22